Muscle of rotator cuff?
1. Teres major
2. Pectoralis major
3. Pectoralis minor
4. Teres minor

Correct answer: 4. Teres minor

Explanation: Rotator cuff (Musculotendinous cuff) is formed by blending of tendons of supraspinatus (superiorly); infraspinatus and Ceres minor (psoteriorly) and subscapularis (anteriorly).